Measles epidemic can be anticipated when proportion of susceptible children in a community reaches -
1. 20%
2. 40%
3. 60%
4. 80%

Correct answer: 2. 40%

Explanation: Measles tends to occurin epidemics when the proportion of susceptible children reaches about 40% Reference; Park's Textbook of preventive and social medicine, 24th edition.Pg no. 156